PET scan uses which tracer material?
1. FDG
2. CDF
3. ADP
4. MIBG

Correct answer: 1. FDG

Explanation: ANSWER: (A) FDGREF: Sutton's Radiology, 7th edition, page 1826"Currently the mainstay of clinical PET is deoxyglucose labelled with fluorine-18 (5FDG)"